Which of the following antihypertensive drugs should not be used in a patient on Lithium in order to prevent Lithium Toxicity.
1. Clonidine
2. Beta blockers
3. Calcium Channel Blockers
4. Diuretics

Correct answer: 4. Diuretics

Explanation: Ans is 'd' i.e. Diuretics Interactions of lithium 1. Diuretics (thiazide, furosemide) by causing Na+ loss promote proximal tubular reabsorption of Na+ as well as Li - Plasma level of lithium rises. Tetracyclines, NSAIDs and ACE inhibitors cause lithium retention. Lithium tends to enhance insulin/sulphonylurea induced hypoglycemia (lithium has insulin like action on glucose metabolism). Lithium inhibits the action of ADH on distal tubules --> causes nephrogenic DI. Lithium reduce thyroxine synthesis by interfering iodination of tyrosine.